Drug causing icthyosis and hyperpigmentation, when used in leprosy is -
1. Rifampicin
2. Dapsone
3. Clofazimine
4. Ethionamide

Correct answer: 3. Clofazimine

Explanation: Ans. is 'c' i.e., Clofazimine o Adverse effects of clofazimine 1. Skin ---> Reddish-black discolouration of skin, dryness of skin and itching, Discolouration of hair and body secretions, acneform eruptions and phototoxicity, conjuctival pigmentation. 2. GIT --> Enteritis with loose stools, nausea, abdominal pain, anorexia and weight loss.